which of the following is true regarding Brachytherpy
1. always gives homogenous radiation
2. same as teletherapy
3. used in carcinoma cervix
4. all of the above

Correct answer: 3. used in carcinoma cervix

Explanation: CLINICAL APPLICATIONS * Brachytherapy can be used in combination with other therapies such as surgery, EBRT or chemotherapy, particularly when the tumor is too large or is not easily accessible. * Brachytherapy has been most widely applied in the treatment of: Cervical Prostate Breast and skin cancers Brachytherapy can also be used to treat tumors in several other body sites. ref : david sutton 9th ed